An HIV-positive patient with a viral load of 100,000 copies/mL of HIV RNA and a drop in his CD4 T-cell count from 240 to 50mL has been diagnosed with Pneumocystis jiroveci pneumonia. Which of the following is the best description of the stage of this patient's HIV disease?
1. HIV infection, stage 1
2. HIV infection, stage 2
3. HIV infection, stage 3 (AIDS)
4. HIV infection, stage unknown

Correct answer: 3. HIV infection, stage 3 (AIDS)

Explanation: Current criteria for HIV infection require a positive result from an HIV antibody screening test confirmed by a positive result from a western blot or indirect immunofluorescence assay for HIV antibodies; or a positive result or report of a detectable quantity of HIV nucleic acid, HIV p24 antigen, or HIV isolation ( style="font-size: 1.04761904761905em; font-family: Times New Roman, Times, serif">). Then, as stated in the revised case definitions: "A confirmed case meets the laboratory criteria for diagnosis of HIV infection and one of the four HIV infection stages (stage 1, stage 2, stage 3, or stage unknown)." The stages are outlined in the table below.STAGES OF HIV INFECTION AS CURRENTLY DEFINED BY CDCCD4+T-lymphocyteStageCount (% of Total Lymphs)AIDS-DefiningconditionaHIV Infection, Stage 1>=500cells/mL(>=29)NoneHIV Infection, Stage 2200-499cells/mL(14-28)NoneaHIV Infection, Stage 3 (AIDS)<200cells/mL(<14)NoneorPresentaHIV Infection, Stage UnknownNo information availableNo information available aThe presence of an AIDS-defining condition moves the stage to 3 even if the CD4 count is higher. See style="font-size: 1.04761904761905em; font-family: Times New Roman, Times, serif"> for a list of AIDS-defining conditions.